Patient complaining of retrosternal chest pain for more than half an hour is most likely to be:
1. Angina
2. MI
3. CHF
4. Congenital heart problem

Correct answer: 2. MI